Concussion injuries to the eye will cause all of the following except
1. Sublaxation of lens
2. Soft exudates
3. Macular hole
4. Berlin's oedema

Correct answer: 2. Soft exudates

Explanation: Soft exudates are axoaxonal debris and seen mostly as a result of hypoxia in the retina Refer khurana 6/e